About Brown-Sequard syndrome all are true except?
1. Ipsilateral weakness
2. Ipsilateral loss of position and vibration
3. Ipsilateral loss of pain and temperature
4. Contralateral loss of pain and temperature

Correct answer: 3. Ipsilateral loss of pain and temperature

Explanation: Ans. (c) Ipsilateral loss of pain and temperature(Ref: Ganong, 25th ed/p.172)Brown-sequard syndromeCause: Trauma such as bullet or a stab wound leading to hemi section of spinal cordPatient usually presents with,#Ipsilateral loss of joint position and vibratory sense (posterior column)#Contralateral loss of pain and temperature sense (spinothalamic tract)#Ipsilateral weakness (corticospinal tract) below the lesion